After Renal transplantaton, which drug is given:
1. Cyclophosphamide
2. Corticosteroids
3. Interferon
4. All

Correct answer: 2. Corticosteroids

Explanation: Ans. is 'b' i.e. Corticosteroids Immunosuppressive drug regimens used in renal transplantations commonly include a glucocorticoid in combination with other drugs such as cyclosporine or tacrolimus (calcineurin inhibitors), azathioprine or mycophenolate mofetil (purine antagonists) and sometimes antilymphocyte antibody preparations.